What is the main disadvantage of Jiffy dentures?
1. Good esthetics cannot be achieved
2. They take a long time to fabricate
3. Materials used are not durable
4. All of the above

Correct answer: 3. Materials used are not durable

Explanation: Jiffy dentures refers to a type of interim immediate dentures, which are fabricated very quickly using readily available, but temporary materials.